H. pylori infection is associated with increased risk of
1. Proximal gastric cancer
2. Carcinoma of body and pylorus of stomach
3. Carcinoma of duodenum first part
4. Carcinoma involving gastroesophageal junction

Correct answer: 2. Carcinoma of body and pylorus of stomach

Explanation: Ans. b (Carcinoma of body and pylorus of stomach) (Ref. LB 25th/1067)Helicobacter seems to he principally associated with carcinoma of the body and distal stomach rather than theproximal stomach. As Helicobacter is associated with gastritis, gastric atrophy and intestinal metaplasia, theassociation with malignancy is perhaps not surprising.Risk factors for the development of stomach/gastric carcinoma are:1. Male > Female2. Age > 40 years3. Chronic H. pylori infection4. Chronic atrophic gastritis with intestinal metaplasia5. History of partial gastric resection6. Pernicious anemia7. Blood group A8. Race: Asians especially Japanese9. Gastric ulcer and polyps10. Menetrier's disease: extreme hypertrophy of gastric rugal folds11. Cigarette smoking12. Dust ingestion13. Ingestion of spirits14. Genetic factors15. Long-term ingestion of high concentration of nitrates in dried smoke and salted foods. (Charred or burnt foods).